A lady presented with carcinoma endometrium involving > 50 % of myometrium extending to vagina and positive peritoneal cytology but no involvement of para aortic and pre aortic nodes.What is the stage of disease?
1. III A
2. III B
3. III C1
4. III C2

Correct answer: 2. III B

Explanation: As discussed earlier, 50% myometrial invasion means stage IC, positive peritoneal cytology puts it in stage III-A.
Vaginal metastasis means stage III B cancer and since this is the highest stage.
Therefore, this patient has endometrial cancer belonging to stage III B.